A patient undergoing caesarean section following prolonged labour under subarachnoid block developed carpopedal spasm. Lignocaine was' used as anaesthetic agent. The most likely' diagnosis is:
1. Amniotic fluid embolism
2. Lignocaine toxicity
3. Hypocalcemia
4. Hypokalemia

Correct answer: 3. Hypocalcemia

Explanation: Hypocalcemia. Patient developing carpopedal spasm is indicative of hypocalcemia. Lignocaine in subarachnoid block can not cause hypocalcemia rather can cause hypercalcemia by releasing calcium from sarcoplasmic retinaculum (that is why amide local anaesthetics may trigger malignant hyperthermia).